A man can not able to do abduction &internal rotation of the arm. Which of the following muscle is responsible for both movement?
1. Pectoralis major
2. Subscapularis
3. Deltoid
4. Supraspinatus

Correct answer: 3. Deltoid

Explanation: Ans: C Deltoid Note: Internal rotation (also known as medial rotation) is an anatomical term referring to rotation towards the center of the body-wiki From the table below, it is clear that only deltoid is involved in both medial rotation(internal rotation) & abduction Movement BDC Snell Gray's Medial rotation Main: Pectoralis major Anterior fibre of deltoid Latissimus dors! Teres major Accessory Subscapularis Subscapularis Anterior fibre of deltoid Latissimus dorsi Teres major Pectoralis major Anterior fibre of deltoid Latissimus dorsi Teres major Subscapularis Abduction Deltoid Supraspinatus Serratus anterior Trapezius- U & L fibers Deltoid Supraspinatus Deltoid Supraspinatus